All of the following are true about history of transplantation except:
1. First successful Intestinal transplantation by Hardy
2. First Heart & Lung transplantation by Reitz & Shumway
3. First Pancreas transplantation by Kelly & Lillhei
4. First Lung transplantation by Fritz Derom

Correct answer: 1. First successful Intestinal transplantation by Hardy

Explanation: History of organ Transplantation First renal transplantation Murray in identical twins First liver transplantation Starzl(1963) First pancreas transplantation Kelly & Lillhei (1966) First heart transplantation Christian Barnard (1967) First lung transplantation Fritz Derom (1968) First Islet cell transplantation Sutherland(1974) First Heart & lung transplantation Reitz & Shumway(1981) First successful intestinal transplantation Deltz (1988)